First autologous renal transplantation was done by
1. Hardy
2. Kavosis
3. Higgins
4. Studor

Correct answer: 1. Hardy

Explanation: .The first successful autologous renal transplantation ( autotransplantation )was performed by Dr.Hardy in 1963 in a patient with severe ureteral injury . This has been described for complex partial nephrectomies , extensive vascular injuries , recurrent stone formers ( renal pelvis is directly anastamosed to the bladder ) ref :- campbell - walsh urology 11th edition . chapter 47 .pg no 1087